Which fluoroquinolone is highly active against Mycobacterium leprae and is being used in alternative multidrug therapy regimens :
1. Norfloxacin
2. Ofloxacin
3. Ciprofloxacin
4. Lomefloxacin

Correct answer: 2. Ofloxacin